Nasolacrimal duct opens in:
1. The mouth opposite upper 2nd molar
2. Middle meatus of nose
3. Superior meatus of nose
4. Inferior meatus of nose

Correct answer: 4. Inferior meatus of nose

Explanation: The nasolacrimal duct is about 0.5 in. (1.3 cm) long and emerges from the lower end of the lacrimal sac.The duct descends downward, backward, and laterally in a bony canal and opens into the inferior meatus of the nose. The opening is guarded by a fold of mucous membrane known as the lacrimal fold. This prevents air from being forced up the duct into the lacrimal sac on blowing the nose.